What is the FIGO staging of Carcinoma ovary with negative nodes, limited to true pelvis, microscopic implants on peritoneal surface?
1. III A
2. III B
3. III C
4. None

Correct answer: 1. III A

Explanation: III A REF: See APPENDIX-60 for details of "FIGO staging of Carcinoma ovary"